Child with B.P. 190/110, pedal edema ++ ; facial edema ascites–absent. Gross hematuria diagnosis is –
1. Acute G.N.
2. Nephrotic syndrome
3. Renal thrombosis
4. Renal amyloidosis

Correct answer: 1. Acute G.N.

Explanation: Hematuria, hypertension and edema suggest the diagnosis of nephritic syndrome caused by acute glomerulonephritis.

​Causes of acute nephritic syndrome in children